CSF is directly returned to venous system by:
1. Choroid plexus
2. Cerebral veins
3. Arachnoid villi
4. Emissary veins

Correct answer: 3. Arachnoid villi